HPV causes -
1. Condylomalata
2. Condyloma acuminate
3. Bubo
4. Chancre

Correct answer: 2. Condyloma acuminate

Explanation: Ans. is 'b' i.e., Condyloma acuminata o Genital warts (anogenital warts or condyloma acuminata) is most commonly caused by low-risk HPV i.e. HPV-6, 11. Other HPV causing genital warts are high-risk HPV, i.e. HPV-16, 18, 31, 33, 45.Type of wartSite of involvementHPV types1 Verruca vulgaris (common wart)Most common type wartOn Hands and fingers2 (most common), 4, 272.Verruca Plana (Flat wart)Face, hands3, 103.Verruca plantaris (Palmoplantar warts)i) Superficial palmoplantar wart (Mosaic wart)ii) Deep palmoplantar wart (Myrmecia wart)Palms & soles1,2, 4, 572 (most common)1 (most common)4.Condyloma acuminata (anogenital wart)Genital, perianal, perineum,Most common - 6,11, (low risk) Other - 16,18,31,33,45 (High risk)5.Laryngeal papillomatosisLarynx, respiratory tract6, 116.Bowenoid papulosisGenitalia167.Epidermodysplasia verruciformisExtensive5, 8